All are true regarding Xenon anesthesia except
1. Slow induction and recovery
2. Non explosive
3. Minimal cardiovascular side-effects
4. Low blood solubility

Correct answer: 1. Slow induction and recovery

Explanation: Xenon is a "noble" gas that has long been known to have anesthetic properties. It is an inert element that does not form chemical bonds. It is an odorless, nonexplosive, naturally occurring gas with a MAC of .71 and a blood/gas coefficient of 0.115, giving it very fast onset and emergence parameters. Xenon's anesthetic effects seem to be mediated by NMDA inhibition by competing with glycine at the glycine binding site. Xenon seems to have little effect on cardiovascular, hepatic, or renal systems and has been found to be protective against neuronal ischemia. Cost and limited availability have prevented its widespread use. Advantages Inert (probably nontoxic with no metabolism) Minimal cardiovascular effects Low blood solubility Rapid induction and recovery Does not trigger malignant hyperthermia Environmentally friendly Nonexplosive Disadvantages High cost Low potency (MAC = 70%) Morgan clinical anesthesia 5e pg: 173